A bipolar disorder patient is kept on lithium therapy. As a doctor when are you going to ask the nurse to get serum lithium levels checked ?
1. Immediatly as soon as the last dose given
2. 12 hours after the last dose
3. 24 hours after the last dose
4. 8 hrs after the last dose

Correct answer: 2. 12 hours after the last dose

Explanation: Lithium has been found to decrease both suicide attempts and completed suicides in a patient with bipolar disorder. Extra edge : Only antipsychotic with antisuicide property : Clozapine